The process of phagocytosis was discovered by:
1. Virchow
2. Metchnikoff
3. Koch
4. None of the above

Correct answer: 2. Metchnikoff

Explanation: In the 1880s the Russian biologist Elie Metchnikoff discovered the process of phagocytosis by observing the ingestion of rose thorns by amebocytes of starfish larvae and of bacteria by mammalian leukocytes. Ref: Robbins 8th edition, Chapter 2.